Best confirmation for pregnancy at six weeks:
1. USG for cardiac activity
2. Doppler
3. estimation of serum beta-hCG
4. Bimanual palpation

Correct answer: 1. USG for cardiac activity

Explanation: In pregnant woman undergoing TVS Gestational sac :4 and half weeks yolk sac :5 weeks fetal node :5 and half weeks fetal heart :6weeks TEXTBOOK OF OBSTETRICS,SHEILA BALAKRISHNAN,Pg no:475,2nd edition